All are Atropine substitutes except
1. Procyclidine
2. Propantheline
3. Tiotropium
4. Drotaverin

Correct answer: 4. Drotaverin

Explanation: Drotaverine (INN, also known as drotaverin) is an antispasmodic drug, used to enhance cervical dilation during childbirth. It is structurally related to papaverine, is a selective inhibitor of phosphodiesterase 4, and has no anticholinergic effects. Ref - medscape.com